Which of the following is a sign of placental separation in stage III of labor:
1. Gushing of blood
2. Discoid uterus
3. Filling of placenta in vagina
4. Increase in blood pressure

Correct answer: 1. Gushing of blood

Explanation: Ans. (a) Gushing of bloodRef. D.C Dutta 7h Ed. H31-312Clinical Course of Third Stage Of Labour* Third stage includes separation, descent and expulsion of the placenta with its membrane.Signs before and after placental separation* BEFORE SEPARATION: uterus becomes discoid in shape, firm in feel and non-ballottable.# Fundal height reaches slightly below the umbilicus* AFTER SEPARATION# Uterus becomes globular firm and ballotable# The fundal height is slightly raised# Sudden gush of vaginal bleeding upon separation.# Permanent lengthening of the cord.